A patient presented with 1 cm coin lesion over right upper lobe of lung on x-ray, not suggestive of metastasis. No lymph node enlargement. FNAC reveals anenocarcinoma. The treatment is
1. Surgery
2. Surgery + Chemotherapy
3. Surgery with Radiotherapy
4. Surgery with Radio chemotherapy

Correct answer: 1. Surgery